Which of the following is the most common portal of entry in Blastomyces dermatitidis infection
1. Skin
2. Respiratory tract
3. Lymphatic system
4. Genitourinary tract

Correct answer: 2. Respiratory tract

Explanation: Blastomyces dermatitidis grows as a mold culture, producing sep tate hyphae and conidia. In a host, it converts to a large, singly budding yeast cell. It is endemic in North America. Human infection is initiated in the lungs. Diagnosis may be difficult because no skin or serologic tests exist. Chronic pneumonia is a common presentation. Sputum, pus, exudates, urine, and lung biopsy material can be examined microscopically, looking for thick walled yeast cells with broadly attached buds. It may also be cultured. Ref:- Baveja textbook of Microbiology